Rienke's edema seen in
1. Vestibular folds
2. Vocal cords
3. Betweeen true and false vocal cord
4. Pyer form fossa

Correct answer: 2. Vocal cords

Explanation: Vocal corda, In submucosal space of membraneous true vocal cords along free medial margin.